IPC 321 deals with 0
1. Definition of hurt
2. Voluntarily causing hurt
3. Definition of grievous hurt
4. Voluntarily causing grievous hurt

Correct answer: 2. Voluntarily causing hurt

Explanation: Ans. is 'b' i.e., Voluntarily causing hurt 3191 PC : Defines hurt,o 320IPC : Defines grievous hurt,o 321 IPC : Voluntarily causing hurt,o 322 IPC : Voluntarily causing grievous hurt.o 323 IPC : Punishment for voluntarily causing hurt {no provocation, no dangerous weapon) (1 years imprisonment),o 324 IPC : Punishment for voluntarily causing hurt by dangerous weapon (3 years imprisonment +- fine),o 325 IPC : Punishment for voluntarily causing grievous hurt (no provocation, no dangerous weapon) (7 years imprisonment +- fine).